The hilum of the right lung is arched by -
1. Recurrent laryngeal nerve
2. Azygos vein
3. Thoracic duct
4. Vagus nerve

Correct answer: 2. Azygos vein

Explanation: Hilum of lung arched by
-        Right side- Azygos vein
-        Left side- Arch of aorta